Intrauterine growth restriction is defined as:
1. There is oligohydramnios
2. The fetus weight less than 2.5 kg
3. Fetus fails to achieve growth potential
4. Duration of pregnancy more than 40 weeks

Correct answer: 3. Fetus fails to achieve growth potential

Explanation: Fetus fails to achieve growth potential